Iodine RDA is -
1. 300 microgram
2. 500 microgram
3. 150 microgram
4. 50microgram

Correct answer: 3. 150 microgram

Explanation: Ans. is 'c' i.e., 150 microgram o The RDA of iodine for adults is 150 microgram.GroupRecommended daily intakePreschool children (0-59 months)School children (6 - 12 years)Adults (>12 years)Pregnancy and lactation90 meg120 meg150 meg250 meg